The type of estrogen found in highest concentration in adult female is-
1. Estrone
2. Estriol
3. Estradiol
4. None

Correct answer: 3. Estradiol

Explanation: Ans (c) Estradiol(Ref: Ganong, 25th ed/p.406)Naturally occurring estrogens are,Estradiol (E2 ) - predominant estrogen during reproductive yearsEstrone (E1) - predominant estrogen in menopausal womenEstriol (E3) - predominant estrogen in pregnant women